Helicobacter pylori is not associated with:-
1. Gastrointestinal lymphoma
2. Gastric cancer
3. Gastric leiomyoma
4. Peptic ulcer

Correct answer: 3. Gastric leiomyoma

Explanation: Helicobacter pylori is associated with: Acute gastritis Peptic ulcer disease Chronic atrophic gastritis Autoimmune gastritis Promotes pernicious anemia Adenocarcinoma of stomach Non-Hodgkin's gastric lymphoma.